Low birth weight is defined as
1. Weight < 2.5 kg
2. Weight < 2.0 kg
3. Weight < 1.5 kg
4. Weight < 10 percentile for their gastational age

Correct answer: 1. Weight < 2.5 kg

Explanation: Low birth weight (LBW) neonate- A neonate weighing less than 2500g at birth irrespective of the gestational age. Very low birthweight (VLBW) neonate- A neonate weighing leas than 1500g at birth irrespective of the gestational age. Extremely low birth weight (ELBW) neonate- A neonate weighing leas than 1000g at birth irrespective of the gestational age. Reference : page 125 Ghai Essential Pediatrics 8th edition